Case fatality rate indicates :
1. Severity of disease
2. Prevalance of disease
3. incidence of disease
4. Morbidity of disease

Correct answer: 1. Severity of disease

Explanation: Ans. is 'a' ie Severity of disease Total no. of deaths due to a particular diseaseCase fatality rate x 100Total no. of cases due to the same diseaseIt represents the killing power of the disease.Also RememberIt's a ratio *, not rate.It is used for acute infectious diseases* its usefulness for chronic disease is limited.